Ferruginous bodies are seen in?
1. Silicosis
2. Bysinosis
3. Asbestosis
4. Baggassosis

Correct answer: 3. Asbestosis

Explanation: Ans. is 'c' i.e., Asbestosis "Ferruginous bodies are most commonly seen in asbestosis". ------------Chandrasoma Taylor* Ferruginous bodies represent foreign inorganic or organic fibers coated by complexes of iron and glycoproteins.* While ferruginous bodies are most commonly seen in asbestosis they are not diagnostic because it may be seen in other type of pneunoconiosis.* When asbestos fiber is coated by iron and glycoprotein, this ferruginous body is called asbestos body-characteristic of asbestosis.* Ferruginous bodies are best seen in section that have stained for iron with prussion blue.* Microscopically ferruginous bodies give a Sheikh Kebab appearance.